Most common cause of Cushing syndrome is
1. Pituitary tumor
2. Ectopic ACTH producing tumor
3. Steroid supplementation
4. Adrenal tumor

Correct answer: 3. Steroid supplementation

Explanation: Steroid supplementation is the most common cause of question syndrome.